Varicella zoster virus becomes latent in:
1. Sacral ganglia
2. Trigeminal ganglia
3. Salivary glands
4. Anterior horn cells of spinal cord

Correct answer: 2. Trigeminal ganglia

Explanation: Ans. B. Trigeminal gangliaVaricella zoster virus becomes latent in ophthalmic branch of trigeminal ganglia and cause Herpes zoster on reactivation